Which one of the following conditions may lead to exudative pleural effusion
1. Cirrhosis
2. Nephrotic syndrome
3. Congestive heart failure
4. Bronchogenic carcinoma

Correct answer: 4. Bronchogenic carcinoma

Explanation: Answer is D (Bronchogenic Carcinoma): Malignant pleural of fissions secondary to metastatic disease are exudative in nature. The three tumors that cause approx. 75% of all malignant pleural effusions are lung carcinoma, breast carcinoma, and Lymphoma. Exudative pleural effusion Transudative pleural effusion Exudative pleural effusion occurs when local factors that influence the formation Transudative pleural effusion occurs when and absorbtion of pleural fluid are altered. systemic factors that influence the formation and absorbtion of pleural fluid are altered. Distinguishing Laboratory features : * Total serum protein > 3 gm /dL * Pleural fluid protein /Serum protein > 0.5 * Pleural fluid LDH/Serum LDH > 0.6 * Pleural fluid LDH >2/3 upper limit of serum Total serum protein < 3 gm /dL Pleural fluid protein /Serum protein < 0.5 Pleural fluid LDH/Serum LDH < 0.6 Pleural fluid LDH<2/3 upper limit of serum Causes of Exudative Pleural Effusion: Causes of Tansuda ive Pleural Effusion: * Neoplastic diseases * Gastrointestinal disease * Pulmonary embolism 1. Congestive heart failure Metastatic disease Esophageal perforation * Sarcoidosis 2. Cirrhosis Mesothelioma Pancreatic disease * Uremia 3. Pulmonary embolization * Infectious diseases Intraabdominal abscesses * Asbestos exposure 4. Hephrotic syndrome Bacterial infections Diaphragmatic hernia * Meig's syndrome 5.Peritoneal dialysis Tuberculosis After abdominal surgery * Yellow nail 6. Superior vena cava obstruction Fungal infections Endoscopy variceal syndrome 7. Myxedema Tuberculosis sclerotherapy * Trapped lung 8.Urinothorax Viral infections * After liver transplant * Radiation therapy Parasitic infections * Post-coronary artery bypass * Post-cardiac injury * Collagen-vascular surgery syndrome diseases * Drug-induced pleural disease * Hemothorax Rheumatoid pleuritis Nitrofurantoin * latrogenic injury SLE Dantrolene * Ovarian Drug-induced lupus Methylsergide hyperstimulation Sjogren's syndrome Bromocriptine syndrome Wegner's Procarbazine * Pericardial disease granulomatosis Amiodarone * Chylothorax Churg-Strauss syndrome